S shaped eyelid is seen in
1. Arterio venous fistula
2. Ulcerative blepharitis
3. Plexiform neurofibroma
4. Horner's syndrome

Correct answer: 3. Plexiform neurofibroma

Explanation: Plexiform neurofibromas - Bag of worm consistency and S shaped eyelid deformity.